Action of theophylline is reduced by ?
1. Smoking
2. Erythromycin
3. Cimetidine
4. Lithium

Correct answer: 1. Smoking

Explanation: Ans. is 'a' i.e., Smoking